Which of the following is not a typical feature of autoimmune hepatitis?
1. Interface hepatitis
2. Emperipolesis
3. Hepatic rosette formation
4. Ground glass hepatocytes

Correct answer: 4. Ground glass hepatocytes

Explanation: "Ground glass" hepatocytes are seen in chronic hepatitis B. Diagnostic features of autoimmune hepatitis: Autoantibodies (ANA or ASMA or LKM > 1 : 80) IgG (or gammaglobulins) level >1.10 times normal limit Liver histology typical for autoimmune hepatitis Interface hepatitis, lymphocytic/lymphoplasmacytic infiltrates in portal tracts and extending in the lobule emperipolesis (active penetration by one cell into and through larger cell) hepatic rosette formation Absence of viral hepatitis